False about Mallory-Weiss syndrome:
1. Massive hemorrhage is MC manifestation
2. Alcohol is an associated etiology
3. Conservative treatment is effective in most of the cases
4. Anti-reflux procedure doesn't have added advantage

Correct answer: 1. Massive hemorrhage is MC manifestation

Explanation: Massive hemorrage is rare in Mallory Weiss Syndrome.